Laser capsulotomy is done for ?
1. Pseudophakic bullous keratopathy
2. After cataract
3. Cystoid macular edema
4. Retinal detachment

Correct answer: 2. After cataract

Explanation: Ans. is 'b' i.e., After cataract Thin membranous after cataract and thickened posterior capsule are best treated by YAG-laser capsulotomy or discission with cystitome or Zeigler's knife.